Focal or confluent periportal necrosis along with ballooning degeneration of hepatocytes with or without Mallory bodies and megamitochondriais suggestive of?
1. Acute Hepatitis B
2. Chronic Hepatitis B
3. Alcoholic liver injury
4. Primary HCC

Correct answer: 3. Alcoholic liver injury

Explanation: Ans. (c) Alcoholic liver injury(Ref: Rosai and Ackerman's Surgical Pathology, Volume 1, chapter 13, Box 13.2)Megamitochondria appear as eosinophilic, PAS- diastase-negative, round, oval, or cigar-shaped inclusionsBetter visualized with chromotrope-aniline blue (CAB) stain & immunohistochemistry.They are not specific for alcohol-induced liver disease, but found more frequently in alcohol-related fibrosisOxyphilic granular hepatocytes or oncocytes are a common, though not pathognomonic, cellular component in acute and chronic alcoholic liver disease.On Electron microscopy, Oncocytes are characterized by a large number of mitochondria (mitochondriosis).